Commonest immunoglobulin deficiency is of:
1. IgA
2. IgE
3. IgG
4. IgD

Correct answer: 1. IgA

Explanation: IgA